Anterior drawer test is done for -
1. ACL
2. PCL
3. Medial meniscus
4. Lateral meniscus

Correct answer: 1. ACL

Explanation: (A) (ACL) (356 Maheshwari 4,h)A) Tests for knee joint injury:* Anterior Drawar Test for ACL laxity* Posterior Drawer Test for PCL laxity* Lachmann Test - better than drawar test for ACL laxity* Pivot shift test is also used for ACL injury.B) Tests for meniscus injury:* McMurray's test* Apley's grinding testAllis test, Barlow's test, Ortolanis test for CDH (Galleazzi sign)* Apprehension test for - recurrent dislocation of the shoulder.* Hamilton ruler test for anterior dislocation of the shoulder.* Suleus sign for inferior dislocation of the shoulder.